The midpalatal suture is most likely to open at which of the following ages of expansion?
1. 18 years old
2. 13 years old
3. 25 years old
4. 55 years old

Correct answer: 2. 13 years old